Systolic BP of a group of 200 people follows normal distribution. Mean BP is 120 mm Hg and standard deviation 10. Which of the following is true-
1. 68% of people have BP between 110-130 mm Hg
2. 95% of people have BP between 110-130 mm Hg
3. 68% of people have BP between 100-140 mm Hg
4. 99% of people have BP between 100-140 mm Hg

Correct answer: 1. 68% of people have BP between 110-130 mm Hg

Explanation: Ref:Parks 23rd edition pg 849. 1SD : confidence limit = 68% 2SD : confidence limit = 95% 3SD : confidence limit = 99.7% 68% have BP : 110 - 130 95% have BP : 100 - 140 99.7% have BP : 90 - 150